Heparin does not cause
1. Osteoporasis
2. Factor V inhibition
3. Thrombocytopenia
4. Prolongation of a PTT

Correct answer: 2. Factor V inhibition

Explanation: Heparin doesnot cause factor V inhibition whereas it causes all the other three. From medical pharmacology padmaja 4th edition Page no 335